Xeroderma pigmentatosa is caused due to a group of closely related abnormalities in
1. Mismatch repair
2. Base excision repair
3. Nucleotide excision repair
4. SOS repair

Correct answer: 3. Nucleotide excision repair